Triple helix is found in
1. Cystine
2. Collagen
3. Pectin
4. DNA

Correct answer: 2. Collagen

Explanation: Robbins basic pathology 9th edition page no 63 The collagens are composed of three seperate polypeptide chains braided into a ropelike triple helix.